Compared with serum, CSF has
1. A higher chloride concentration
2. A higher protein concentration
3. The same glucose concentration
4. More lymphocytes per microliter

Correct answer: 1. A higher chloride concentration

Explanation: Compared with serum, cerebrospinal fluid (CSF) has a higher chloride concentration. CSF is an ultrafiltrate of plasma. It is produced primarily by the choroid plexus cells in the lateral ventricles. From the lateral ventricles, CSF flows through the foramen of Munro into the third ventricle, through the aqueduct of Sylvius, and into the fourth ventricle. It then exits the fourth ventricle through the foramina of Luschka and Magendie and enters the subarachnoid space located between the arachnoid and pia mater. The CSF in the subarachnoid space cushions the brain and spinal cord. CSF is resorbed through the arachnoid villi, extending into the dural venous sinuses located along the summit of the brain. The venous sinuses empty into the jugular venous system.CSF has a lower glucose, lower protein (15 to 45 mg/dl), fewer lymphocytes, and higher chloride (120 to 130 mEq/dl) than serum. These differences help distinguish serum from CSF in trauma cases.